An unconscious patient is brought to causality, requires emergency neurosurgical evacuation, but no relatives or bystanders available. The doctor doing the emergency procedure is protected under
1. Sec 92 IPC
2. Sec 102 IPC
3. Sec 112 IPC
4. Sec 122 IPC

Correct answer: 1. Sec 92 IPC

Explanation: Sec. 92. An act was done in good faith for benefit of a person without consent: Nothing is an offence by reason of any harm which it may cause to a person for whose benefit it is done in good faith, even without that person's consent, if the circumstances are such that it is impossible for that person to signify consent, or if that person is incapable of giving consent, and has no guardian or another person in lawful charge of him from whom it is possible to obtain consent in time for the thing to be done with benefit. Ref: Textbook of Forensic Medicine and Toxicology; 5th ed;